True about concentration of Oral Rehydration Solution is:
1. Sodium 70 mEq/ lit
2. Potassium 20 mEq/lit
3. Bicarbonate 80 mEq/ lit
4. Chloride 30 mEq/ lit

Correct answer: 2. Potassium 20 mEq/lit

Explanation: Ans. B: Potassium 20 mEq/lit An ORS packet is dissolved in 1 L of water to produce a solution containing (in mmol/ L) Na 90, K 20, Cl 80, citrate 10, and glucose 111 (standard WHO ORS) or Na 75, K 20, Cl 65, citrate 10, and glucose 75 (WHO reduced-osmolarity ORS). Composition of reduced osmolarity ORS is 2.6 g NaCI, 2.9 g trisodium citrate, 1.5 g KCL, and 13.5 g glucose. Decreasing the sodium concentration of ORS solution to 75 mOsm/ 1 improved the efficacy of the ORS regimen for children with acute non-cholera diarrhea. ORS is effective in patients with dehydration regardless of age, cause, or type of electrolyte imbalance (hyponatremia, hypernatremia, or isonatremia) as long as their kidneys are functioning adequately. After rehydration, this solution must be replaced by a lower-Na fluid to avoid hypernatremia.